Insulin-dependent entry of glucose is seen in
1. Liver
2. Brain
3. Heart
4. Kidney

Correct answer: 3. Heart

Explanation: GLUT -4 transporter is present in striated muscles in the heartGLUT-4 is an insulin-regulated glucose transporterInsulin promotes the translocation of intracellular Glut4 molecules to the cell surfaceRef: DM Vasudevan, 7th edition, page no: 107